All float in a saturated salt solution except -a) Clonorchis sinensisb) Fertilised eggs of ascarisc) Larva of strongyloidesd) Trichuris trichura
1. a
2. bc
3. ad
4. ac

Correct answer: 4. ac